The cyst Located at the junction of median nasal process, lateral nasal process and maxillary process is:
1. Globulomaxillary cyst
2. Median palatine cyst
3. Nasopalatine cyst
4. Nasoalveolar cyst

Correct answer: 4. Nasoalveolar cyst